Which drug inhibits absorption of cholesterol from intestine?
1. Resins
2. Ezetimibe
3. Niacin
4. Orlistat

Correct answer: 2. Ezetimibe

Explanation: Ans. (b) EzetimibeRef'.Harrison's 18/e, ch 356